Carbohydrate requirement in ideal balanced dict?
1. 10-20% of total energy intake
2. 20-30% of total energy intake
3. 40-50% of total energy intake
4. 50-70% of total energy intake

Correct answer: 4. 50-70% of total energy intake

Explanation: Ans. is 'd' i.e., 50-70% of total energy intake